Drug of choice for bleeding oesophageal varices is-
1. Ethanolamineoleate
2. Octreotide
3. Propanolol
4. Phytonadione

Correct answer: 2. Octreotide

Explanation: Ans. is 'b' i.e., Octreotide o Among the given options, only octeride is used (otherwise vasopressine analogue terlipressine is the DOC).